Abdominal pain, fat malabsorption & frothy stools suggests -a) Amoebiasisb) Bacillary dysentryc) Giardiasisd) Pancreatic enzyme deficiency
1. ab
2. bc
3. cd
4. ac

Correct answer: 3. cd